Term period for embryonic period:
1. 0-14 days of gestation
2. 14 days to 9 weeks of gestation
3. 9 weeks to birth
4. 22 weeks intrauterine to 7 days after birth

Correct answer: 2. 14 days to 9 weeks of gestation

Explanation: Ans. B: 14 days to 9 weeks of gestationThe embryonic period in humans begins at fertilization (12-24hrs after ovulation, generally between the 2nd and 3rd week of gestational age) and continues until the end of the 9th week of gestation (8th week by embryonic age).